Glucuronic acid and Iduronic acid are:
1. Anomers
2. Enantiomers
3. Functional isomers
4. Epimers

Correct answer: 4. Epimers

Explanation: option d : Glucuronic acid and Iduronic acid are Epimers Epimers are stereoisomers that differ around the configuration of a single asymmetric carbon other than the anomeric carbon. Epimers of glucose can be remembered as MAGI. Mannose -C2 epimer, Allose -C3 epimer, Galactose -C4 epimer Idose -C5 epimer.